The following are indications for performing thoracotomy after blunt injury of the chest, except
1. 1000 ml drainage after placing intercostal tube
2. Continuous bleeding through intercostal tube of more than 200 ml/hour for three or more hours
3. Cardiac tamponade
4. Rib fracture

Correct answer: 4. Rib fracture

Explanation: Ans. is 'd' i.e. Rib fracture